One of the claims for the superiority composite resin restoration over silicate cement restorations is that the resin restorations:
1. Prevent galvanic action
2. Are practically insoluble in oral fluids
3. Adapt to the walls of the cavity better
4. Have a higher coefficient of thermal expansion

Correct answer: 2. Are practically insoluble in oral fluids